Best diagnostic modality for parotid swelling is
1. Enucleation
2. FNAC
3. Superficial parotidectomy
4. Excisional biopsy

Correct answer: 2. FNAC

Explanation: Best diagnostic modality - FNAC Best imaging investigation - MRI (MRI is the most sensitive study to determine soft-tissue extension and involvement of adjacent structures but it lacks the specificity for differentiating benign from malignant neoplasms.)